A man with diabetes insipidus has a glomerular filtration of 155 L/day. Which range most likely represents the upper limit for urine flow rate in this individual if he were not receiving treatment but had free access to water?
1. 1 to 3 L/day
2. 5 to 10 L/day
3. 15 to 20 L/day
4. 30 to 35 L/day

Correct answer: 3. 15 to 20 L/day

Explanation: Ans. C. 15 to 20 L/dayUrine flow rate in the absence of antidiuretic hormone (ADH) can approach approximately 10% to 13% of the glomerular filtration therefore, for a glomerular filtration of 155 L/day, urine flow could be as much as 15 to 20 L/ day. To maintain this level of urine flow, the individual must consume an equivalent amount of water per day.